The advantage of using epidural opioids over local anaesthetics are all except
1. Less hypotension
2. No motor block
3. Frequent injections not required
4. Less expensive

Correct answer: 4. Less expensive

Explanation: The main drawback of local anaesthetics is that there is possibility of motor blockade if higher concentration is used and motor paralysis is not acceptable in postoperative period. Other advantages are no sympathetic block so hypotension is less and after one single dose of morphine analgesia may last for 12-16 hours.